Gartner's cyst can be differentiated from cystocele by all except
1. Not reducible
2. No impulse on coughing
3. Presence of rugosities of overlying vaginal mucosa
4. None of above

Correct answer: 3. Presence of rugosities of overlying vaginal mucosa

Explanation: Ans. is c, i.e. Presence of rugosities of overlying vaginal mucosaRef: Dutta Gynae 6th/ed, p210Gartner's cyst - are cysts of the remnants of Wolffian duct.M/C location = Anterolateral aspect of vagina and hence are often confused with cystocele.Features of Gartner's cyst are:* Rugosities of the overlying vaginal mucosa are lost.* Vaginal mucosa over it becomes tense and shiny.* Margins are well defined.* Not reducible.* No impulse on coughing.